Pancoast tumor is
1. Superior sulcus tumor
2. Inferior sulcus tumor
3. Median sulcus tumor
4. None of the above

Correct answer: 1. Superior sulcus tumor

Explanation: Ans. is 'a' i.e., Superior sulcus tumor It is a tumor of the pulmonary apex typically found in conjunction with a smoking history. It is situated at the top end of either the right or left lung.Most Pancoast tumors are non-small cell cancers i.e. squamous cell carcinomas (SCCs) or adenocarcinomas.